Ash leaf maculae is found in –
1. Tuberous sclerosis
2. Neurofibromatosis
3. Lymphangioma
4. None

Correct answer: 1. Tuberous sclerosis